Increase in height in first year is by -
1. 40%
2. 50%
3. 60%
4. 75%

Correct answer: 2. 50%

Explanation: Ans. is 'b' i.e., 50% At birth, the average height of a child is 50 cm. During first year height increases about 50% of birth height (25 cm).